In strychnine poisoning, convulsions occur because of the antagonist effects at receptors for:
1. Aspartate
2. Glycine
3. GABA
4. Glutamate

Correct answer: 2. Glycine

Explanation: (Ref: KDT 6/e p469) GABA is the principal inhibitory neurotransmitter in the brain and glycine is the inhibitory amino acid in the spinal cord. By antagonizing the glycine receptors, strychnine can result in convulsions and other stimulatory symptoms.